Shirodkar stitch is given at ..... of pregnancy :
1. 6 weeks
2. 12 weeks
3. 14-16 weeks
4. 20-24 weeks

Correct answer: 3. 14-16 weeks

Explanation: 14-16 weeks